Rigler's Sign is seen in :
1. Ulcerative colitis
2. Crohn's disease
3. Megacolon
4. Pneumoperitoneum

Correct answer: 4. Pneumoperitoneum

Explanation: Pneumoperitoneum: Best projection to demonstrate pneumoperitoneum: Chest X-Ray If the patient cannot get into an erect position then left lateral decubitus projection is required Patient should be in that position for 10 minn at least for air rise up By careful technique even 1 ml of air can be detected Supine Film Signs of Pneumoperitoneum Football sign Collection of air in the centre of abdomen over a fluid collection Rigler's Sign Visualization of both aspects of bowel wall being outlined by air on either side Cupola Sign Large amount of gas under the diaphragm Triangle sign Air between bowel loops Ref: Sabiston 20th edition Pgno: 1127